Most common cause of death in burns is
1. Neurogenic shock
2. Hypovolemic shock
3. Haemorrhagic shock
4. Septicemic shock

Correct answer: 4. Septicemic shock

Explanation: Following successful resuscitation, most acute Morbidity and virtually all Mortality in severely burned patients are related to infection This is because thermal injury causes profound immunosuppression that is proportional to the TBSA of the burn. Inspite of burn patients at significant risk to infection, prophylactic systemic antibiotics are not part of modern care, as they do not reduce septic complications and only lead to increased bacterial resistance MC cause of death at the site of burn: Asphyxia MC cause of death in burns : Septicemia MC cause of early death in burns :Hypovolemic shock MC cause of late death in burns : Septicemia Ref: Sabiston 20th edition Pgno :516